Inverted papilloma of nose arise from
1. Nasal septum
2. Roof of the nose
3. Tip of the nose
4. Lateral wall of the nose

Correct answer: 4. Lateral wall of the nose

Explanation: Inverted papilloma of noise arises from the lateral wall of the nose in the middle meatus. It presents with nasal obstruction, nasal discharge and epistaxis. It may also extend to invade sinuses or orbit. Orbital involvement causes proptosis, diplopia and lacrimation. Ref: Textbook of diseases of ENT; PL Dhingra; 7th edition, pg no. 227